Anti nuclear antibodies in SLE cause -
1. Arthritis
2. LE cells
3. Endocarditis
4. CNS lesions

Correct answer: 2. LE cells

Explanation: Ans. is 'b' i.e., LE cells